Protoplasmic astrocytes are located in ?
1. Gray matter
2. White matter
3. Inside blood vessels
4. Inside neurons

Correct answer: 1. Gray matter

Explanation: Ans. is'a'i.e., Gray matter[Ref: Clinical neurology 4h/e p. 7111There are following types of astrocytes :Protoplasmic AstrocytesThey are located in gray matter in close association with neurons.They provide nutrients, assist in metabolism and help in formation of blood-brain-barrier.